A post-operative cardiac surgical patient developed sudden hypotension, raised central venous pressure, pulsus paradoxus at the 4th post operative hour. The most probable diagnosis is:
1. Excessive mediastinal bleeding
2. Ventricular dysfunction
3. Congestive cardiac failure
4. Cardiac tamponade

Correct answer: 4. Cardiac tamponade

Explanation: Answer is D (Cardiac tamponade) Features of rising pressure, falling arterial pressure and pulsus paradoxus following surgery on the heart leads us to the diagnosis of cardiac tamponade.